The most radiosensitive tissue is:
1. Brain
2. Bone marrow
3. Thyroid
4. Liver

Correct answer: 2. Bone marrow

Explanation: Bone marrow